A patient complains of intermittent claudication, dizziness and headache, likely cardiac lesion is
1. TOF
2. ASD
3. PDA
4. Coarctation of aorta

Correct answer: 4. Coarctation of aorta